Laparoscopic cholecystectomy done in a patient with cholelithiasis.Pathology report shows adenocarcinoma with invasion of muscle layer. CT was normal. Further tit is:
1. Wait and regular follow up
2. Wedge hepatic resection with lymph node dissection
3. Excise all port sites
4. Radiotherapy

Correct answer: 2. Wedge hepatic resection with lymph node dissection